The process of 'phagocytosis' was discovered by
1. Celsus
2. Elie Metchnikoff
3. Virchow
4. None of the above

Correct answer: 2. Elie Metchnikoff